The most malignant form of malignant melanoma is:
1. Nodular
2. Lentigo maligna
3. Acral lentiginous type
4. Superficial spreading

Correct answer: 1. Nodular

Explanation: Types of Malignant Melanoma *Superficial spreading : MC type of MM; MC site is Torso. *Nodular: 2nd MC type* Most malignant* Only vertical growth phase* MC site - Head and Neck *Lentigo maligna: Least malignant; MC site is Face *Acral lentiginous : Least common , worst prognosis . MC site : Sole , under great toe nail Only FDA approved adjuvant therapy for malignant melanoma -Interferon alpha 2b